Which of the following characteristics distinguishes somatic capillaries from visceral capillaries?
1. Presence or absence of fenestrae
2. Size of the lumen
3. Thickness of the vessel wall
4. Presence or absence of pericytes

Correct answer: 1. Presence or absence of fenestrae

Explanation: Somatic (continuous) capillaries lack fenestrae, whereas visceral (fenestrated) capillaries are characterized by their presence. Both types of capillary possess a continuous basal lamina and are surrounded by occasional pericytes.